The middle to apical third of the root surface and furcations are covered by
1. Acellular extrinsic fiber cementum
2. Acellular intrinsic fiber cementum
3. Cellular intrinsic fiber cementum
4. Cellular extrinsic fiber cementum

Correct answer: 3. Cellular intrinsic fiber cementum